Where does ADH not act ?
1. PCT
2. Collecting duct,
3. Collectingtubules
4. DCT

Correct answer: 1. PCT

Explanation: Ans. is. 'a' i.e., PCT HormoneSite of action in kidneyEffectsAldosteroneDistal tubule (late) and collecting duct| NaCl & water reabsorptions, K+ secretionADHDistal tubule and collecting duct| Water reabsorptionAngiotensin IIProximal tubule, thick ascending limb of loop of Henle, distal tubule, collecting duct| NaCl & water reabsoiptionANPDistal tubule, collecting duct| NaCl reabsorption